Which of the following is life threatening
1. U/L adductor paralysis
2. U/L abductor paralysis
3. B/L adductor paralysis
4. B/L abductor paralysis

Correct answer: 4. B/L abductor paralysis

Explanation: RECURRENT LARYNGEAL NERVE PARALYSIS BILATERAL (BILATERAL ABDUCTOR PARALYSIS) AETIOLOGY:- Neuritis or surgical trauma (thyroidectomy) are the most important causes. The condition is often acute. POSITION OF CORDS :- As all the intrinsic muscles of larynx are paralyzed, the vocal cords lie in median or paramedian position due to unopposed action of cricothyroid muscles. CLINICAL FEATURES :- As both the cords lie in median or paramedian position, the airway is inadequate causing dyspnoea and stridor but the voice is good. Dyspnoea and stridor become worse on exertion and can be life threatening. Ref:- Dhingra; pg num:-300